Which of the following condition is most likely to be associated with vaginal pH of 4:
1. Atrophic vaginitis
2. Trichomanas vaginatis
3. Candidal vaginitis
4. Gardenella vaginitis

Correct answer: 3. Candidal vaginitis

Explanation: Ans. C: Candidal Vaginitis Candida albicans is a gram positive yeast like microorganism and grows well in acidic medium. Vaginal pH remains normal (4.0-4.5) in candida infection whereas pH in excess of 4.5 should suggest possibility of Other bacterial vaginosis (BV), trichomoniasis or mixed infections.